A genetic disorder renders fructose 1,6 - biphosphatase in liver less sensitive to regulation by fructose 2,6 - biphosphate. All of the following metabolic changes are observed in this disorder except:
1. Level of fructose 1,6-biphosphate is higher than normal
2. Level of fructose 1,6 - biphosphate is lower than normal
3. Less pyruvate is formed
4. Less ATP is generated

Correct answer: 1. Level of fructose 1,6-biphosphate is higher than normal

Explanation: A i.e. Level of Fructose 1, 6- biphosphate is higher than normal